Child survival index is calculated by
1. 1000-IMR/100
2. IMR-1000/10
3. 1000-U5MR/10
4. U5MR-1000/10

Correct answer: 3. 1000-U5MR/10

Explanation: Ref:Park's Text book of Preventive and Social Medicine 25th ed